DNA integrity and replication ensured at which stage of the cell cycle?
1. End of M
2. End of G1
3. End of S
4. End of G2

Correct answer: 4. End of G2

Explanation: Embedded in the cell cycle are surveillance mechanisms primed to sense DNA or chromosomal damage. These quality control checkpoints ensure that cells with genetic imperfections do not complete replication. Thus, the G1-S checkpoint monitors the integrity of DNA before irreversibly committing cellular resources to DNA replication.Later in the cell cycle, the G2-M restriction point ensures that there has been accurate genetic replication before the cell actually divides.In metaphase there is spindle checkpoint, at the transition from metaphase to anaphase.Robbins 9e pg: 26